Mechanism of action of abortion stick used in criminal abortion:
1. Necrosis of endometrium causing infection
2. Uterine contraction
3. Stimulation of uterine nerves
4. Inducing uterine relaxation

Correct answer: 2. Uterine contraction

Explanation: Ans. Uterine contraction